All 5-HT receptors are heptahelical serpentine receptors EXCEPT:
1. 5-HT1
2. 5-HT2
3. 5-HT3
4. 5-HT4

Correct answer: 3. 5-HT3

Explanation: All serotonin receptors are G-protein coupled receptors except 5-HT3 which is an inotropic receptor.